Gingival fibroblasts’ origin is
1. Ectomesenchymal
2. Mesodermal
3. Ectodermal
4. All of the above

Correct answer: 2. Mesodermal